Which local anaesthetic causes vasoconstriction:
1. Cocaine
2. Lidocaine
3. Bupivacaine
4. Procaine

Correct answer: 1. Cocaine

Explanation: A i.e. Cocaine